Vascular dermal necrosis is seen with
1. Warfarin
2. Hirudin
3. Dabigatran
4. Rivaroxiban

Correct answer: 1. Warfarin

Explanation: Vascular dermal necrosis occurs due to warfarin Cutaneous necrosis with reduced activity of protein C sometimes occurs during the first weeks of therapy. Rarely, the same process causes frank infarction of the breast, fatty tissues, intestine, and extremitiesKatzung 12e pg: 610